Substance commonly used for tissue preservation commonly is:
1. Ethyl alcohol
2. Formalin
3. Sodium Chloride
4. Normal Saline

Correct answer: 2. Formalin

Explanation: Formalin